Which one of the listed statements is the best histologic definition of an abscess?
1. A circumscribed collection of neutrophils with necrotic cellular debris
2. A localized defect that results from the sloughing of necrotic inflammatory tissue from the surface of an organ
3. A localized proliferation of fibroblasts and small blood vessels
4. An aggregate of two or more activated macrophages

Correct answer: 1. A circumscribed collection of neutrophils with necrotic cellular debris

Explanation: An abscess is a localized collection of neutrophils and necrotic debris. It is basically a localized form of suppurative (purulent) inflammation, which is associated with pyogenic bacteria and is characterized by edema fluid admixed with neutrophils and necrotic cells (liquefactive necrosis or pus).